First factor of occlusion is:
1. Condylar guidance.
2. Incisal guidance.
3. Cuspal angulation.
4. Plane of occlusion.

Correct answer: 1. Condylar guidance.

Explanation: Condylar guidance
• First factor of occlusion.
• Only factor, which can be recorded from the patient.
• It is registered using protrusive registration.
• Increase in the condylar guidance will increase the jaw separation during protrusion.